A 60-year-old man is admitted to the hospital with severe abdominal pain. A CT scan reveals a dissecting aneurysm of the thoracic aorta. While in the hospital the patient's aneurysm ruptures and he is transferred urgently to the operating theater. Postoperatively, the patient suffers from paraplegia. Which of the following arteries was most likely injured during the operation to result in the paralysis?
1. Right coronary artery
2. Left common carotid
3. Right subclavian
4. Great radicular (of Adamkiewicz)

Correct answer: 4. Great radicular (of Adamkiewicz)

Explanation: The artery of Adamkiewicz (great radicular artery) is an important artery that provides oxygenated blood to the lower portion of the spinal cord, specifically the anterior cord where lower motor neurons are located, inferior to the vertebral level of origin of the artery, and provides collateral anastomoses with the anterior spinal artery. Care should be taken during surgery to prevent damage to this artery as this can lead to paraplegia and alteration of functions of pelvic organs. The other answer choices are not likely to be damaged during the surgery and would not lead to paraplegia.